Nerve damaged due to lunate dislocation (in carpal tunnel):
1. Median & ulnar
2. Median
3. Ulnar
4. Radial

Correct answer: 2. Median

Explanation: B. i.e. Median nerve